Platelet are stored in -
1. 22 +- 2degC
2. - 4degC
3. - 2degC
4. - 20degC

Correct answer: 1. 22 +- 2degC

Explanation: Ans. is 'a' i.e., 22 +- 2degC Two methods of storage of platelats. 1. Liquid storage : Both whole blood derived and apheresis platelets concentrates may be storage for 5 days using following some principles. (a) Temperature must be 20_ 24degC. (b) Storage container must be constructed of a plastic material that allows adequate diffusion of 0; to meet cells metabolic needs. (c) Platelets concentrates must be agitated during storage. 2. Frozen Storage : The most widely used method for frozen storage employs controlled rate freezing (1degC/min); 5% DMSO as a cryoprotective agent.